In a suspected case of death due to poisoning where cadaveric rigidity is lasting longer than usual, it may be a case of poisoning due to:
1. Lead
2. Arsenic
3. Mercury
4. Copper

Correct answer: 2. Arsenic

Explanation: Ans. Arsenic